Marker of apoptosis is?
1. CD 34
2. CD8
3. CD95
4. CD 110

Correct answer: 3. CD95

Explanation: Ans. is 'c' i.e., CD95 * CD 95 is a marker of extrinsic pathway of apoptosis.